All of the following are used for treatment of hyperkalaemia except :
1. Calcium gluconate
2. Sodium bicarbonate
3. Intravenous infusion of glucose with insulin
4. Beta blockers

Correct answer: 4. Beta blockers

Explanation: Answer is D (Beta blocker) Beta blockers have no role in management of hyperkalemia Parenteral or Nebulrized Beta 2 agonist may be useful by promoting cellular uptake of IC . Calcium gluconate provides cardiac protection by decreasing membrane excitability, white Insulin and Sodium bicarbonate decrease plasma IC concentration by shifting IC+ into cells.